A 55 year old female came with hip flexor contracture. What is the most likely test to be done in this case?
1. Allis test
2. Thomas test
3. Ober test
4. Trendlenberg test

Correct answer: 2. Thomas test

Explanation: (b) Thomas test,Ref: Apley's system of orthopaedics and fracture 9th ed., pg. 495* Full name of test is Hugh owen well leg hip flexion Thomas test. This test is to find out fixed flexion deformity of hip joint.* Ober test is to determine Iliotibial band contracture.* Trendelenberg test is to find out abductor weakness of hip joint* Allis test or Galleazi sign is used to diagnose DDH in children